Fraction of drug that reaches in the blood is ?
1. T1/2
2. Absorption
3. Bioavailability
4. Elimination

Correct answer: 3. Bioavailability

Explanation: Ans. is 'c' i.e., Bioavailability "Bioavailability is a measure of fraction (F) of administered dose of a drug that reaches the systemic circulation".